Measles is infective for how many days before the onset of rash -
1. 10 days
2. 4 days
3. 1 days
4. on same

Correct answer: 2. 4 days

Explanation: Ans. is 'b' i.e., 4 days Period of communicability in important respiratory infections# Chicken pox: 1 - 2 days before to 4 - 5 days after appearance of rash.# Measles: 4 days before to 5 days after appearance of rash.# Rubella: 7 days before symptoms to 7 days after appearance of rash.# Mumps: 4-6 days before symptoms to 7 days thereafter.# Influenza: 1 - 2 days before to 1 - 2 days after onset of symptoms.# Diphtheria: 14-28 days from disease onset.# Pertussis: 7 days after exposure to 3 weeks after paroxysmal stage.